Q30 Which of the following is not a type of wax:
1. Ceresin wax.
2. Japan wax.
3. Sticky wax.
4. Candelilla wax.

Correct answer: 2. Japan wax.

Explanation: Japan wax and cocoa butter are the types of fat.